Purely serous gland among the following:
1. Parotid gland
2. Submandibular gland.
3. Sublingual gland.
4. None

Correct answer: 1. Parotid gland